Percentage of para–para isomer in it DDT is –
1. 20–30%
2. 40–50%
3. 60–70%
4. 70–80%

Correct answer: 4. 70–80%